Vitamin k is responsible for the carboxylation of which amino acid in the clotting factors
1. Aspartate
2. Glutamate
3. Proline
4. Lysine

Correct answer: 2. Glutamate

Explanation: Ref Robbins 8/e p 119;9/e p119 The vitamin K-dependent carboxylase carries out the posttranslational modification of specific glutamate residues in proteins togamma-carboxy glutamic acid (Gla) in the presence of reduced vitamin K, molecular oxygen, and carbon dioxide.